To diagnose post-traumatic stress disorder, the symptoms should persist for more than ______
1. 2 days
2. 1 month
3. 3 months
4. 6 months

Correct answer: 2. 1 month

Explanation: In post-traumatic stress disorder, the symptoms persist for more than one month. Condition Duration Acute stress reaction Post-traumatic stress disorder Delayed Post-traumatic stress disorder 2 days to 1 month More than 1 month Symptoms occur after 6 months